All are indications of hyperbaric oxygen therapy except
1. Gas gangrene
2. Diabetic foot
3. Carbon monoxide poisoning
4. Bronchopulmonary dysplasia

Correct answer: 4. Bronchopulmonary dysplasia

Explanation: Hyperbaric O2 therapy in closed tanks is used to treat diseases in which improved oxygenation of tissues cannot be achieved in other ways. It is of demonstrated value in carbon monoxide poisoning, radiation-induced tissue injury, gas gangrene, very severe blood loss anemia, diabetic leg ulcers, and other wounds that are slow to heal, and rescue of skin flaps and grafts in which the circulation is marginal. It is also the primary treatment for decompression sickness and air embolism. A chronic condition characterized by lung cysts and densities (bronchopulmonary dysplasia) develops in some infants treated with O2 for respiratory distress syndrome. This syndrome may be a manifestation of O2 toxicity. Reference: Ganong's Review of Medical Physiology; 25th edition; Page no: 652